Nutrient artery supplying the bone enters from which end
1. Away from the growing end
2. Towards the growing end
3. No fixed entry point
4. Metaphyseal end

Correct answer: 1. Away from the growing end

Explanation: Nutrient artery: it enters the shaft through nutrient foramen run obliquely through the cortex and divides into ascending and descending branches in the medullary cavity
The nutrient artery supplies medullary cavity, inner 2/3 of cortex and metaphysics
Each branch divide into a number of small parallel channels which terminate in the adult metaphysis by anastomosing with epiphysial, metaphysical and periosteal arteries